Sallick's manouvere is used for –
1. To prevent gastric aspiration
2. To facilitate Respiration
3. To reduce dead space
4. To prevent alveolar collapse

Correct answer: 1. To prevent gastric aspiration

Explanation: Sellick's manoeuvre is the application of back-ward pressure on cricoid cartilage to prevent regurgitation of gastric contents and its leaking into respiratory tract.